Treatment of choice for nasopharyngeal carcinoma is ?
1. Surgery
2. Radiotherapy
3. Surgery & radiotherapy
4. Chemotherapy

Correct answer: 2. Radiotherapy

Explanation: Ans. is 'b' i.e., Radiotherapy Treatment of nasopharyngeal carcinoma Irradiation is treatment of choice (external radiotherapy). Radical neck dissection is required for persistent nodes when primary has been controlled and in post radiation cervical metastasis. Systemic chemotherapy is used as palliation for distant metastases or radiation failure. For advanced stages (stage III & IV), the cure rate can be doubled when chemotherapy is combined with radiotherapy.